Which of the following phospholipids do not contain glycerol
1. Lecithin
2. Phosphatidyl serine
3. Sphingomyelin
4. Phosphatidyl inositol

Correct answer: 3. Sphingomyelin

Explanation: Sphingomyelin contains sphingosine instead of glycerol.